The conversion of CO2 and H2O into carbonic acid during the formation of aqueous humour is catalysed by which one of the following enzymes –
1. Carboxylase
2. Carbamylase
3. Carbonic anhydrase
4. Carbonic deoxygenase

Correct answer: 3. Carbonic anhydrase

Explanation: Question is very simple. Whereever carbonic anhydrase system is present in the body, this reaction is catalysed by carbonic anhydrase, e.g. in eye, stomach, kidney.